Which of the following is an endothelial smooth muscle relaxing factor?
1. Nitric oxide
2. Angiotensin
3. Dopamine
4. Vasopressin

Correct answer: 1. Nitric oxide

Explanation: Nitric oxide acts in paracrine manner on target cells through induction of cGMP which in turn initiates a series of intravascular events leading to relaxation of vascular smooth muscle.